Consequence of maternal use of cocaine is :
1. Hydrops
2. Sacral agenesis
3. Cerebral infarction
4. Hypertrichosis

Correct answer: 3. Cerebral infarction

Explanation: One of the consequence of maternal use of cocaine is cerebral infarction. Ref: Williams Obstetrics, 20th Edition, Page 960 and 21st Edition, Page 206 ; Clinical Obstetrics: The Fetus and Mother By E. Albert Reece, John C. Hobbins, 2008, Page 245